If annual growth rate of a population is 1.5-2%, what number of years will be required to double the population
1. 70-47 years
2. 35-47 years
3. 35-28 years
4. 28-23 years

Correct answer: 2. 35-47 years

Explanation: When crude death rate is substracted from crude birth rate , the net residual is current annual grow rate , exclusive of migration. When the annual growth rate of a population is 1.5% to 2.0%, it takes 35-47 years to double the size of population. Reference : Park's textbook of preventive and social medicine, 23rd edition, pg no: 481, table 5